Merkel cells are found in which of the following tissue?
1. Epidermis
2. Papillary layer of dermis
3. Reticular layer of dermis
4. Hypodermis

Correct answer: 1. Epidermis